Sympathetic innervation to appendix is derived from:
1. D8
2. D10
3. D12
4. L1

Correct answer: 2. D10

Explanation: D10